True about boundaries of inguinal canal are all, EXCEPT:
1. Conjoint tendon is seen anteriorly
2. Fascia transversalis forms posterior boundary
3. Inguinal ligament forms the base
4. Internal oblique forms the roof

Correct answer: 1. Conjoint tendon is seen anteriorly

Explanation: Conjoint tendon is formed by the condensation of fibers of internal oblique and transverse abdominis. It forms the posterior wall of inguinal canal.Boundaries of inguinal canal:Anterior wall of inguinal canalis made up of external oblique aponeurosis with some fibers of internal oblique which attach to lateral part of inguinal ligament.Posterior wall is formed from transversalis facia, except medially where the conjoint tendon from transversus abdominis intervenes.Inferior wall (floor) is formed from the inguinal ligament as it turns inward, and it is composed medially of lacunar ligament.Roof consist of lowermost fibers of internal oblique and transversus abdominis as they arch over the canal to join together as conjoined tendon.